In sickle cell crisis bone pain is due to:-
1. Bone infarction
2. Osteroporosis
3. Osteomalacia
4. Periosteal reaction

Correct answer: 1. Bone infarction

Explanation: - Abnormal shape of RBC - Occlusion of small vessels of bone - bone infarction - resulting in pain If bones of hand & feet are involved - Hand foot syndrome Long bones - Avascular necrosis of femur vertebral column - 'H' shaped vertebra/ cod fish vertebra/ fish mouth vertebra -X ray skull - crew cut appearance (Hair on end appearance)